Neonates differ from adults in the following, except
1. Their hepatic metabolizing enzyme activity is faster.
2. Their excretory ability of the kidney is less well developed.
3. Their gastric emptying is prolonged.
4. They can tolerate large doses of certain drugs on body weight basis.

Correct answer: 1. Their hepatic metabolizing enzyme activity is faster.

Explanation: The gastric emptying is prolonged and the renal function is low in neonates. The capacity of liver to metabolize drugs is also low. However certain drugs like digitalis, belladonna can be tolerated in large amounts on a body weight basis than adults.